Corduroy appearance on X-ray is seen in?
1. Osteoclastoma
2. Osteosarcoma
3. Hemangioma
4. Ewing's sarcoma

Correct answer: 3. Hemangioma

Explanation: Corduroy cloth appearance/ jail bar sign (vertical striations in vertebrae)-Hemangioma Hemangioma result of the replacement of normal cancellous by thickened vertical trabeculae surrounded by fat marrow or vascular lacunae in vertical intraosseous hemangiomas. It is a benign tumor and consists of vascular channels. It is seen commonly in middle-aged patients The spine is the commonest site Note: Polka Dot sign seen on CT scan